Most common cause of failure of class II restoration in
children is:
1. Margin failure
2. Proximal box fracture
3. Inadequate width
4. Too much width

Correct answer: 2. Proximal box fracture